The commonest cause of death in the sophisticated world-
1. Ischemic heart disease
2. Accidents
3. Infectious disease
4. None of the above

Correct answer: 1. Ischemic heart disease

Explanation: The prevalence of IHD among adults was estimated at 96.7 per 1000 population in urban and 27.1 in rural areas. Ref- Park's textbook of Preventive and Social Medicine 24th edition.